Anaesthetic that has a smooth induction is :
1. Diethyl ether
2. Isoflurane
3. N2O
4. Halothane

Correct answer: 4. Halothane

Explanation: Halothane and sevoflurane have smooth induction, so these are preferred agents for anesthesia in children.